A neonate has distended abdomen and failed to pass meconium, which of the following causes can be ruled out?
1. Intestinal mabotation
2. Meckel's diverticulum
3. Hirschsprung disease
4. Distal intestinal atresia

Correct answer: 2. Meckel's diverticulum

Explanation: Meckel's diverticulum usually do not present with intestinal obstruction.